The most common retrobulbar mass in adults is
1. Neurofibroma
2. Meningioma
3. Cavernous hemangioma
4. Schwannoma

Correct answer: 3. Cavernous hemangioma

Explanation: Cavernous hemangioma is a non encapsulated seen most commonly inside the muscle cone. Refer khurana 6/e p 411